Allen's test used for detecting integrity of palmar arch tests which of the following?
1. Radial artery
2. Ulnar artery
3. Both
4. None of the above

Correct answer: 3. Both

Explanation: Allen's test allows assessment of the extent of connection between the radial and ulnar arteries through the palmar arches. In Allen's test: the examiner compresses both the radial and ulnar arteries at the wrist and then asks the patient to flex and extend the fingers repetitively. After the hand blanches, pressure from the radial artery is released while compression is maintained on the ulnar artery and the examiner observes how long it takes for each of the fingers to regain its pink color. The initial step is repeated with both vessels compressed, and the ulnar artery occlusion is then released while pressure is maintained on the radial artery. Again, examination of the reperfusion of the fingers reveals which digits are primarily supplied through the ulnar artery. Ref: CURRENT Diagnosis & Treatment in Orthopedics, 4e chapter 10